Which of the following sensation is carried by A alpha nerve fiber?
1. Touch
2. Temperature
3. Pressure
4. Proprioception

Correct answer: 4. Proprioception

Explanation: A alpha fibers carry proprioception and somatomotor sensation. It's conduction velocity is 70-120 m/s. A delta nerve fiber is involved in transmitting pain and temperature in the body. It's conduction velocity is 12-30 m/s. A beta fiber is involved in carrying touch and pressure sensation. It's conduction velocity is 30- 70m/s. A gamma acts as motor to the muscle spindle. It's conduction velocity is 15 - 30m/s. Ref: Barrett K.E., Barman S.M., Boitano S., Brooks H.L. (2012). Chapter 4. Excitable Tissue: Nerve. In K.E. Barrett, S.M. Barman, S. Boitano, H.L. Brooks (Eds), Ganong's Review of Medical Physiology, 24e.